Most common uterine malformation associated with renal anomalies
1. Bicornuate
2. Unicornuate
3. Septate
4. Didelphys

Correct answer: 2. Unicornuate

Explanation: Unicornuate uterus is seen in 1% cases; Due to failure of development of one mullerian duct or failure of migration to proper location Most commonly associated with abnormality of urinary tract anomaly usually of kidney It is diagnosed by absence of round ligament and fallopian tube on the opposite side Associated with Endometriosis, Early spontaneous abortions, Ectopic pregnancy, Preterm labour and Fetal growth resriction SHAW'S TEXTBOOK OF GYNAECOLOGY,PG NO:99,15th edition